Arecanut chewing is aetiological factor in
1. Leukoedema
2. Oral submucous fibrosis
3. Erythema multiforme
4. Oral lichen planus

Correct answer: 2. Oral submucous fibrosis